Cause of metabolic alkalosis includes-a) Furosemideb) Addision diseasec) Hypokalerniad) Hyponatremia
1. a
2. ac
3. ad
4. b

Correct answer: 2. ac